Sexual intercourse with another man's wife with her consent and without the consent of that man is
1. Sodomy
2. Adultery
3. Bestiality
4. Tribadism

Correct answer: 2. Adultery

Explanation: Adultery Sexual intercourse with another man's wife with her consent and without the consent of that man is adultery. Man who commits the offence of adultery shall be punished with imprisonment up to 5 years or with fine or both. In such cases, the wife shall not be punishable as an abettor. Ref: FORENSIC MEDICINE AND TOXICOLOGY Dr PC IGNATIUS THIRD EDITION PAGE 308